Concerning maturation of the female gamete (oogenesis), when do the oogonia enter meiosis I and undergo DNA replication to form primary oocytes?
1. During fetal life
2. At birth
3. At puberty
4. With each ovarian cycle

Correct answer: 1. During fetal life

Explanation: All primary oocytes are formed by month 5 of fetal life, so no oogonia are present at birth. Oogonia enters meiosis I before birth. Hence at birth, ovary contains primary oocytes arrested in the diplotene stage of prophase I which gets completed after puberty to form secondary oocyte. This secondary oocyte is arrested in metaphase-2 stage of meiosis II which is completed when fertilization occurs. 3rd month end 5th month 7th month Oogonia are arranged in clusters surrounded by a layer of epithelial cells. Number of germ cells in ovary reaches maximum (7 million) Majority of oocyte degenerate, except few, surviving ones enter prophase I & are surrounded by follicular epithelial cells forming PRIMORDIAL FOLLICLE.